A postmenopausal diabetic woman presents with bleeding per vaginum. The most likely diagnosis is :
1. Carcinoma vulva
2. Carcinoma cervix
3. Carcinoma endometrium
4. Carcinoma ovary

Correct answer: 3. Carcinoma endometrium

Explanation: Carcinoma endometrium